removing RNA primer from both leading and lagging strand by ?
1. DNA POLYMERASE 1
2. DNA POLYMERASE 2
3. DNA POLYMERASE 3
4. DNA LIGASE

Correct answer: 1. DNA POLYMERASE 1

Explanation: 7 STEPS OF DNA REPLICATION : 1. Original DNA requires replication. 2. Replication starts at a specific sequence on the DNA molecule. 3-DNA helicase unwinds and unzips DNA, breaking the hydrogen bonds that join the base pairs, and forming two separate strands. The new DNA is built up from the four nucleotides (A, C, G and T) that are abundant (free nucleotides) in the nucleoplasm. 4-These nucleotides attach themselves to the bases on the old strands by complementary base pairing. Where there is a T base, only an A nucleotide will bind, and so on. 5. DNA polymerase joins the new nucleotides to each other by strong covalent bonds, forming the phosphate-sugar backbone. A winding enzyme winds the new strands up to form double helices. The two new molecules are identical to the old molecule. REF : LIPINCOTT 9TH ED